Von Gierke's occurs due to deficiency of
1. Glucose-6-phosphatase
2. Liver Phosphorylase
3. Muscle phosphorylase
4. Debranching enzyme

Correct answer: 1. Glucose-6-phosphatase

Explanation: Glucose - 6- phosphatase is deficient in Von Gierke's disease.